In femoral triangle the most medial structure seen is
1. Lymphatics
2. Artery
3. Vein
4. Nerve

Correct answer: 1. Lymphatics

Explanation: Femoral canal (Femoral sheath)
                      -        Medial compartment

   Opening - Femoral ring
   Content - Lymph nodes of Cloquet/Rosenmuller, Lymphatics, fat, areolar tissue.

 -        Intermedius compartment

   Content - femoral vein

 -        Lateral compartment

   Content - femoral artery, femoral branch of genitofemoral nerve

 
 Femoral ring Formation
-        Anterior - Inguinal ligament
-        Medial - Lacunar ligament
-        Posterior - Pectineus with fascia
-        Lateral - septum separating it from femoral vein